Trotter's triad includes all except:
1. Sensory disturbance over distribution of 5th cranial nerve
2. Diplopia
3. Conductive deafness
4. Palatal palsy

Correct answer: 2. Diplopia

Explanation: Nasopharyngeal cancer can cause conductive deafness (eustachian tube blockage,) ipsilateral temporoparietal neuralgia (involvement of CN V) and palatal paralysis (CN X) collectively called Trotters triad.